Frequent periodontal abscesses appear to be an important periodontal feature in
1. Nutrition deficiency
2. Diabetes Mellitus
3. Hormonal imbalance
4. Cardiovascular diseases

Correct answer: 2. Diabetes Mellitus